Seldinger needle is used for:
1. Suturing Muscles
2. Arteriography
3. Pulmonary biopsy
4. Lymphaography

Correct answer: 2. Arteriography

Explanation: Ans. B: Arteriography Seldinger needle is used for cannulization or catheterization employing the Seldinger technique. It has: Thin wall outer cannula ending in blunt tapered point. Fitted stylet has sharp cutting tip with a short bevel. Blunt, round ended stylet included for plugging of outer cannula after insertion. Has kidney shaped flange for ease of handling. Transfemoral arterial access for coronary angiography or angioplasty is the norm for most cardiologists. Although this carries the advantage of ease of access as a result of the superficial location of the large caliber femoral artery in the groin, it can also potentially cause rare vascular complications, such as pseudoaneurysms, arteriovenous fistula, arterial occlusion, nerve injury and most seriously, retroperitoneal bleed. In addition, transfemoral approach may also be unsuitable in some patients for a variety of reasons; these include severe aortoileofemoral obstructive disease, abdominal aortic aneurysm, groin infection or gross obesity.